Main Arterial supply of the tonsil is from
1. Facial artery
2. Ascending pharyngeal artery
3. Palatine artery
4. Maxillary artery

Correct answer: 1. Facial artery

Explanation: Facial artery supplies face, tonsil Ref: Gray's 40e/p-262